All of the following are ECG changes seen in Digoxin toxicity except
1. QT shortening
2. PR shortening
3. ST depression
4. T wave inversion

Correct answer: 2. PR shortening

Explanation: Digoxin is a AV Nodal blocker and hence it leads to PR prolongation not shortening.